Which of the following structure is not in anterior relation to left Ureter?
1. Left Gonadal artery
2. Lift colic artery
3. Root of Mesentery
4. Sigmoidal artery

Correct answer: 3. Root of Mesentery

Explanation: Root of sigmoid mesocolon is in anterior relation With left ureter.